First hormone to be produced in cholesterol synthesis is?
1. Epinephrin
2. Ergosterol
3. Lanosterol
4. Secretin

Correct answer: 3. Lanosterol

Explanation: Lanosterol is the first steroid to be synthesized in cholesterol synthesis. Reference: Harpers illustrated biochemistry 30th edition